Unilateral breast involvement with scaly skin around the nipple and intermittent bleeding is suggestive of:
1. Galactocoele
2. Pagets disease
3. Eczema
4. Sebaceous cysts

Correct answer: 2. Pagets disease

Explanation: Ans. B: Pagets disease Paget's disease of the breast is an eczema-like change in the skin of the nipple, and is a superficial manifestation of an underlying breast cancer. The underlying breast cancer may be an invasive breast cancer or ductal carcinoma in situ (DCIS). In DCIS, the cancer cells are completely contained within the milk ducts. Paget's disease affects about 1-2 out of every 100 women with breast cancer. It is most common in women in their 50s, but can occur at a younger or older age. It can affect men, but this is extremely rare